Air embolism occurs in which method of abortion?
1. Spontaneous abortion
2. Medical Termination of pregnancy
3. Criminal abortion
4. Antiphospholipid antibody syndrome

Correct answer: 3. Criminal abortion

Explanation: Ans is 'c' i.e., Criminal abortionIn criminal abortion death may occur from shock, hemorrhage, air or fat embolism and sepsis. When poisonous substances have been administered death may supervene from their effects.DIC and cerebral damage may follow when abortion is induced by intrachorionic injection of hypertonic saline and glucose after 12th week.